All of the following are major criteria for staphylococcal toxic shock syndrome, except:
1. Acute fever (Temperature >38.8 deg C (101.8 deg F)
2. Central nervous system abnormalities
3. Hypotension (Orthostatic, shock, blood pressure below age-appropriate norms)
4. Rash

Correct answer: 2. Central nervous system abnormalities

Explanation: b. Central nervous system abnormalities(Ref: Nelson's 20/e p 1320-1321)Mnemonic for Major Diagnostic Criteria of Staphylococcal Toxic Shock Syndrome:"H-A-R jagah Staphylococcus hai" - Hypotension, acute fever and rash